Specific marker for GIST is?
1. CD 117
2. CD 34
3. CD 23
4. S-100

Correct answer: 1. CD 117

Explanation: Ans. is 'a' i.e., CD 117